The most important modifiable risk factor for Stroke is:
1. Hyperlipidemia
2. Diabetes mellitus
3. Cigarette Smoking
4. Hypertension

Correct answer: 4. Hypertension

Explanation: Answer is D (Hypertension) Hypertension is the single most important, modifiable risk factor for stroke. Treatment of hypertension to desired Blood Pressure is the most cost effective strategy for the prevention of both ischemic and haemorrhagic stroke.